According to National Leprosy Elimination Programme, elimination of leprosy is defined as prevalence of Leprosy less than or equal to______.
1. 1 per 1000 population
2. 1 per 10000 population
3. 1 per 1,00,000 population
4. 2 per 10000 population

Correct answer: 2. 1 per 10000 population

Explanation: Ans. b (1 per 10000 population) (Ref. Text book of PSM by Park 22nd/ 391)NATIONAL LEPROSY ELIMINATION PROGRAMME# Only target India achieved as per National Health Policy 2002 that too only at National level, not at state or district level.# Current prevalence of leprosy is 0.72/10000 population (at one place it is mentioned as 0.74/10000).# 28 states and UT attained level of elimination.# 487 out of 611 districts in India have achieved level.# Annual new case detection rate--11.70/100000.# High prevalence (1-2)- Bihar, Chhatisgarh, Jharkhand, West Bengal, Chandigarh# Prevalence >2 is in Dadara & Nagar Haveli.